Which of the following tumours present with proptosis-
1. Neuroblastoma
2. Nephroblastoma
3. Germ cell tumour
4. Medulloblastoma

Correct answer: 1. Neuroblastoma

Explanation: Most common cause of bilateral proptosis: In children : Neuroblastoma and leukemia (chloroma). In adults : Thyroid ophthalmopathy. Most common cause of unilateral proptosis: In children : Orbital cellulitis. In adults : Thyroid ophthalmopathy. Other tumors causing proptosis : symmetrical lymphoma, secondaries from Neuroblastoma, nephroblastoma, Ewings, leukemic infiltration. Ref: A. K. Khurana 6thE pg404 ref img